Typhoid ulcer perforation mostly occurs in:
1. 1 -2 week
2. 2 -3week
3. 3-4 week
4. 4 -5week

Correct answer: 3. 3-4 week

Explanation: Ans. C: 3-4 week The mechanism is hyperplasia and necrosis of Peyer's patches of the terminal ileum. The lymphoid aggregates of Peyer's patches extend from the lamina propria to the submucosa, so that in the presence of hyperplasia the distance from the luminal epithelium to the serosa is bridged by lymphoid tissue. During the course, S. Typhi is found within mononuclear phagocytes of Peyer's patches, and in cases with intestinal perforation, both this tissue and surrounding tissues show hemorrhagic areas, most often during the third and the fourth week of the illness. Tissue damage in Peyer's patches occurs, resulting in ulceration, bleeding, necrosis, and, in extreme cases, full-thickness perforation.